Drug of choice for toxoplasmosis in pregnancy ?
1. Cotrimoxazole
2. Erythromycin
3. Tetracycline
4. Spiramycin

Correct answer: 4. Spiramycin

Explanation: Ans. is 'd' i.e., Spiramycin